The normal total iron binding capacity is-
1. 0.5-1 Omg/litre
2. 1.5-2.5 mg/litre
3. 1.0-1.5mg/litre
4. None

Correct answer: 4. None

Explanation: Ans. is None In normal individuals transferrin is about 33% saturated with iron, yielding serum iron levels that average 120 g/dl in men and 100 g/dl in women. Thus the total iron binding capacity of serum is in the range of 300 to 350 g/dl (30-35 mg/litre).